Principle of health education includes
1. Interest
2. Know to unknown
3. Good human relations
4. All of the above

Correct answer: 4. All of the above

Explanation: Principle of health education :

Interst.
Credibility.
Participation.
Motivation.
Reinforcement.
Learning by doing.
Comprehension.
Known to unknown.
Setting an example.
Good human relations.
Feedback.
Leaders.